Which of the following does not have non-human reservoir
1. Salmonella typhi
2. Yersinia pestis
3. Escherichia coli
4. Clostridium tetani

Correct answer: 1. Salmonella typhi

Explanation: Man is the only natural host for S.typhi and S.paratyphi A whereas most of the other salmonella are chiefly pathogenic in an animal. Clostridium, E.coli and yersinia infect both human and animal. Ref: Textbook of Microbiology, Ananthanarayan and Paniker; 9th edition